Various enzymes are used in clinical laboratory for estimation of various substances. Peroxidase enzyme is used in estimating:
1. Haemoglobin
2. Ammonia
3. Creatinine
4. Glucose

Correct answer: 4. Glucose

Explanation: Peroxidase enzyme is used for diagnostic purpose of glucose and cholesterol. Enzyme used for diagnostic purpose: Enzyme Used for testing Urease Urea Uricase Uric acid Glucose oxidase Glucose Peroxidase Glucose; Cholesterol Hexokinase Glucose Cholesterol oxidase Cholesterol Lipase Triglycerides Horseradish peroxidase ELISA Alkaline phosphatase ELISA Restriction endonuclease Southern blot; RFLP Reverse transcriptase Polymerase chain reaction Ref: Textbook of Biochemistry for Medical Students, 6th Edition By D. M. Vasudevan, M.D., Dm Vasudevan, Page 273.